Donath landsteiner test is used in diagnosis of ?-
1. Paroxysmal nocturnal hemoglobinuria
2. Paroxysmal cold hemoglobinuria
3. March hemoglobinuria
4. Favism

Correct answer: 2. Paroxysmal cold hemoglobinuria

Explanation: Paroxysmal cold haemoglobinuria (PCH). In PCH, cold antibody is an IgG antibody (Donath-Landsteiner antibody) which is directed against P blood group antigen and brings about complement-mediated haemolysis. Attacks of PCH are precipitated by exposure to cold. PCH is uncommon and may be seen in association with tertiary syphilis or as a complication of certain infections such as Mycoplasma pneumonia, flu, measles and mumps HARSH MOHAN Text book of pathology 6th edition pg no 313